All are causes of hypertension with hypokalemia except,
1. Bilateral renal artery stenosis
2. End stage renal disease
3. Primary hyperaldosteronism
4. Cushing disease

Correct answer: 2. End stage renal disease

Explanation: Ans. is 'b' i.e. End stage renal disease Hypertension with HypokalemiaHigh reninRenal artery stenosisAccelerated hypertensionRenin-secreting tumorEstrogen therapyLow reninPrimary aldosteronismAdenomaHyperplasiaCarcinomaAdrenal enzyme defects1 1b- Hydroxylase deficiency17a- Hydroxylase deficiencyCushing's syndrome or diseaseOtherLicoriceCarbenoxoloneChewer's tobaccoLydia Pinkham tabletsAlso know.Hypokalemia without hypertensionBARTER'S SyndromeGUELMAN'S Syndrome